Which of the following is supplied by two nerves?
1. Quadriceps
2. Triceps
3. Digastric
4. FDS

Correct answer: 3. Digastric

Explanation: MuscleOriginInsertionNerve supplyActionDigastricHas 2 bellies united by an intermediate tendonAnterior belly from digastric fossa of mandibleBoth heads meet at the intermediate tendon which perforates stylohyoid and is held by a fibrous pulley to the hyoid boneNerve to mylohyoidDepresses mandible when the mouth is opened widely or against resistanceIt is secondary to lateral pterygoidElevates Hyoid bonePosterior belly from the mastoid notch of temporal boneFacial nerveRef: BD Chaurasia; 6th edition; volume 3; Page no: 158; Table no: 11.1